Cozen test is used in diagnosis of -
1. Tennis elbow
2. Golfers elbow
3. Jumpers knee
4. Osteochondritis dessicans

Correct answer: 1. Tennis elbow

Explanation: Ans. is 'a' i.e., Tennis elbow Special Tests for Tennis elbow* Cozen's test: With the forearm pronated, ask the patient to make a tight fist. The examiner now holds the fist and palmarflexes the wrist. Pain will be felt at the lateral epicondyle in a case of tennis elbow.* Wringing test: When the patient is asked to wring a towel, pain is felt at the lateral epicondyle in tennis elbow.